Ejection fraction denotes performance of-
1. Left ventricle
2. Left atrium
3. Aortic valve
4. Pulmonary valve

Correct answer: 1. Left ventricle

Explanation: ejection fraction (EF) is the fraction of blood ejected from a ventricle of the heart with each heart beat .It is a direct indicater of left ventricular function EJECTION FRACTION * The volume of blood within a ventricle immediately before a contraction is known as the end-diastolic volume. * The volume of blood left in a ventricle at the end of contraction is end-systolic volume. * The difference between end-diastolic volume (EDV) and end-systolic volumes (ESV) is the stroke volume, the volume of blood ejected with each beat. * Ejection fraction (Ef) is the fraction of the end-diastolic volume that is ejected with each beat; that is, it is stroke volume (SV) divided by end-diastolic volume (EDV) Ref : Harrison 20th edition pg 1437